All of the following are CNS stimulants except:
1. Amphetamines
2. Benzodiazepines
3. Cocaine
4. Methylphenidate

Correct answer: 2. Benzodiazepines